Loss of foot processes seen on electron microscopy of renal biopsy is a classical feature in which of the following?
1. Membranous nephropathy
2. Minimal change disease
3. lgA nephropathy
4. Rapidly progressive gloerulonephritis

Correct answer: 2. Minimal change disease

Explanation: IgA nephropathy - Mesangial IgA deposits RPGN - Findings depend on the type of RPGN and cause. Membranous nephropathy - Subepithelial deposits (Spike and dome appearance) Minimal change disease (MCD): Effacement of foot processes of podocytes and damage to podocytes seen on electron microscopy Most common cause of nephrotic syndrome in children is MCD and in adults, it is FSGS.